IOC for pericardial calcification
1. CT scan
2. 2D-Echo
3. TEE
4. MRI

Correct answer: 1. CT scan

Explanation: Pericardial calcification - CT scan.
Pericardial effusion - 2D echo.